Number of pustules to diagnose a possible severe bacterial infection in children is?
1. > 5
2. > 1O
3. >15
4. >20

Correct answer: 2. > 1O

Explanation: More than 10 pustules are required to detect possible severe bacterial infection . Reference: GHAI Essential pediatrics, 8th edition